Rat Bite Erosions are seen in?
1. Psoriasis
2. Gouty Arthritis
3. Osteoarthritis
4. Ankylosing Spondylitis

Correct answer: 2. Gouty Arthritis

Explanation: *Rate Bite Erosions with over hanging edges(Maels sign) is feature of Gouty Arthritis Radiographs in Gout Marginal erosion with overhanging edge "Rat bite"